Hbs has defect in aminoacid position -
1. 4
2. 6
3. 11
4. 12

Correct answer: 2. 6

Explanation: B i.e. 6